Drug of choice for medical treatment of hydatid cyst of liver is :
1. Praziquantel
2. Thiabendazole
3. Ivermectin
4. Albendazole

Correct answer: 4. Albendazole